Nitrogen atoms of Urea contributed by:
1. Ammonium and aspartate
2. Ammonium and glutamate
3. Ammonium and glycine
4. Ammonium and asparagine

Correct answer: 1. Ammonium and aspartate

Explanation: Ans. A. Ammonium and aspartateFirst nitrogen by Ammonium ion--by the reaction CPS-1Second nitrogen by Aspartate--by the reaction Argininosuccinate Synthetase